Which is phase - II drug metabolic reaction -
1. Oxidation
2. Cyclization
3. Methylation
4. Hydrolysis

Correct answer: 3. Methylation

Explanation: Ans. is 'c' i.e., Methylation .o Phase I reactions : - Oxidation, reduction, hydrolysis, cyclization, decyclization.o Phase II reactions : - Acetylation, glutathione conjugation, glucoronide conjugation (glucuranization), glycine conjugation, methylation, sulfate conjugation (sulfuranation), nucleotide synthesis.